Laryngeal oedema - a life-threatening situation is seen
in association with:
1. Cavernous sinus thrombosis
2. Infection of pharyngeal tonsils
3. Ludwig's angina
4. Cellulitis

Correct answer: 3. Ludwig's angina